ADAMTS-13 is a metalloproteinase. It is produced by the:
1. Alfa cells of the pancreas
2. Oligodendrocyte in the brain
3. Stellate cells in the liver
4. Tubular epithelial cells of the kidney

Correct answer: 3. Stellate cells in the liver

Explanation: Ans. C. Stellate cells in the liverADAMTS-13 is a metalloproteinase which is produced by the stellate cells of the liver. It cleaves von Willebrand factor. Therefore, when ADAMTS-13 deficiency occurs, large multimer of VWF attach to platelets and cause microcirculatory failure.